What type of probe is used in western blot technique
1. tRNA
2. mRNA
3. Antibody
4. Mutant and normal oligonucleotides

Correct answer: 3. Antibody

Explanation: Western blotting is done to detect proteins. Radiactive labelled antibody is used as probe.